Samter's triad refers to the association of aspirin sensitive asthma and
1. Obesity
2. Uicarla
3. Nasal polyp
4. Rhinosinusitis

Correct answer: 3. Nasal polyp

Explanation: Samter's triad Asthma Asprin sensitivity Nasal polyposis Ref Harrison 19th edition pg 1680